A dendritic ulcer is caused by –
1. Mycetoma
2. Herpes simplex
3. Staphylococcus
4. Pneumococcus

Correct answer: 2. Herpes simplex

Explanation: Dendritic ulcer is a typical lesion of HSV keratitis.